The milk of which of the following contains the least amount of calcium?
1. Human
2. Cow
3. Buffalo
4. Goat

Correct answer: 1. Human

Explanation: Human milk do not contain calcium. REF. PARK'S TEXTBOOK OF PREVENTIVE AND SOCIAL MEDICAL 21ST EDITION. PAGE NO - 582